Long established antiepileptic drug used in complex partial seizures are all EXCEPT:
1. Valproate
2. Carbamazepine
3. Lamotrigine
4. Phenytoin

Correct answer: 3. Lamotrigine

Explanation: Lamotrigine REF: Goodman and Gillman's 11TH edition Table 19-1 page 320 See APPENDIX-35 for "CLASSIFICATION OF EPILEPTIC SEIZURES & ANTIEPILEPTIC DRUGS"